Which of the following statements are true regarding the disease depicted here?(AP-PG 2016)i. The histopathology shows foamy macrophges with intracytomplasmic bacilli and plasma cells with Russel bodiesii. It is case of granulomatosis with polyangitisiii. It is caused by a gram-positive bacillusiv. Nasal obstruction is a common complaintv. Streptomycin and tetracycline for 4-6 weeks are used in treatment
1. i, iv, v
2. i, ii, iii
3. i, iii, v
4. iii, iv, v

Correct answer: 1. i, iv, v

Explanation: (a) i, iv, v(Ref. Scott Brown, 6th ed., 4/8/34)This is a patient of Rhinoscleroma caused by Klebsiella rhinoscleromatis which is a gram-negative bacteria.Granulomatosis with polyangitis is Wegner's granulomatosis.